Inflammation of the dorsal root ganglion and vesicular
eruption of the skin and mucous membrane in area supplied by a sensory nerve that is affected is characteristic of:
1. Herpes zoster
2. Herpes simplex
3. Uveoparotid fever
4. Aphthous stomatitis

Correct answer: 1. Herpes zoster